In transmission of malaria, mosquito bite transfers?
1. Sporozoite
2. Merozoite
3. Hypnozoite
4. Gametocyte

Correct answer: 1. Sporozoite

Explanation: Ans. is 'a' i.e., Sporozoite Sporozoites are infective to man. Human infection begins when a female anopheline mosquito inoculates plasmodial sporozoites from its salivary gland during a blood meal.